The value of C-factor for class IV composite restoration is
1. 0.25
2. 0.5
3. 1
4. 2

Correct answer: 2. 0.5